Cyclo propagative means:
1. Only development
2. Only multiplication
3. No development and no multiplication
4. M ul ti plication and development

Correct answer: 4. M ul ti plication and development

Explanation: Ref: Park 'Textbook of Preventive and Social Medicine', 22nd edition.Explanation:Biological transmission PropagativeOnly multiplication, eg - plague bacilli in flea, dengue virus in mosquitoCyclo developmentalOnly development eg- filariai parasite in mosquitoCylco propagativeMultiplication and development eg. malarial parasite in mosquito* Cylco - development cycle* Propagative - multiplication